Blood group antigen NAG transferase present but galactosyl transferase is absent is ?
1. Group A
2. Group B
3. Group AB
4. Group 0

Correct answer: 1. Group A

Explanation: Ans. is'a'i.e., Group AABO gene products are the products of enzymatic reactions, catalysed by enzymes called glycosyltransferase (galactosyltransferase).